Chelating agent used in mercury poisoning is
1. Calcium disodium edetate
2. Desferrioxamine
3. Penicillamine
4. BAL

Correct answer: 4. BAL

Explanation: Ans. is 'd' i.e., BAL